True about interferon is -
1. Host protein
2. Viral protein
3. Inactivated by nucleases
4. Virus specific

Correct answer: 1. Host protein

Explanation: Interferon are host coded proteins that are produced on induction by viral or non-viral inducers.